Morgagnian hernia is seen at which site?
1. Left anterior portion of the diaphragm
2. Right anterior portion of the diaphragm
3. Left posferior portion of the diaphragm
4. Right posterior portion of the diaphragm

Correct answer: 2. Right anterior portion of the diaphragm

Explanation: Right anterior portion of the diaphragm congenital hernia : they can be of following types: a. Anteromedial hernia-occurs through space between the xiphoid and costal. Origins of diaphragm (foramen of Morgagnil space of Larrey).More common on right side. It generally causes no symptoms. b. Posterolateral hernia - commonest type of congenital diaphragmatic hernia. It occurs through pleuroperitoneal hiatus (foramen of Bochdalek). More common on left side.It causes acute respiratory distress and may cause death of the infant within a few hours of birth. c.Posterior hernia - no hernial sac is there. d. Central hernia - rare Acquired hernia: e.Traumatic f. Hiatal- most commonly sliding type